Hotspot on Tc-99 is seen in which parotid tumour?
1. Pleomorphic adenoma
2. Adenoid cystic carcinoma
3. Acinic cell tumour
4. Warthin tumour

Correct answer: 4. Warthin tumour

Explanation: Warthin tumour, or papillary cystadenoma lymphomatosum, is the second most common benign parotid tumour and occurs most often in older white men. Because of the high mitochondrial content within oncocytes, the oncocyte-rich Warthin tumour and oncocytomas incorporate technetium-99m and appear as hot spots on radionuclide scans.Ref: Sabiston, 20e, page no: 830